Which of the following disease is X-linked?
1. Thalassemia
2. Colour blindness
3. Sickle cell anemia
4. Galactosemia

Correct answer: 2. Colour blindness

Explanation: Ref. Robbins Pathology. 9th edition. Page. 142
Below is a list of few X- Linked disorders from Robbins